All are contents of vaginal sphincter except
1. xternal urethral sphincter
2. Pubovaginalis
3. Bulbospongiosus
4. Internal urethral sphincter

Correct answer: 4. Internal urethral sphincter

Explanation: Vaginal contraction can be carried out by external urethral sphincter, pubo-vaginalis and bulbospongiosus. Females do not have the internal urethral sphincter . The External urethral sphincter surrounds the vagina also and works as Urethro-vaginal sphincter. It is innervated by the nerve fibres of Onuf's nucleus (S-2, 3, 4) the pudendal nerve. Pubo-vaginalis is a part of pubo-coccygeus (Levator ani) and functions as vaginal sphincter Levator ani muscle forms the Pelvic diaphragm. Bulbo-spongiosus is a muscle of superficial perineal pouch and is a constrictor of vaginal orifice. Internal urethral sphincter Females lack the intemal urethral sphincter It is actually the anatomical bladder neck(pre-prostatic) sphincter observed in males. The internal urethral sphincter prevents retrograde passage of semen into the urinary bladder during ejaculation. It is innervated by the L-1 sympathetic fibres. L-1 fibres should not be cutwhile performing lumbar sympathectomy otherwise, would result in retrograde ejaculationof semen . Urinary continencein females is maintained by the following muscles: Sphincter urethrae Compressor urethra Sphincter urethro-vaginalis Pubo-urethralis (part of Levator ani muscle)